Which state has the lowest IMR
1. Uttar Pradesh
2. Kerala
3. Tamil Nadu
4. Maharashtra

Correct answer: 2. Kerala

Explanation: Ref:Park's Textbook of Preventive and Social Medicine 25th Ed